Who are NOT benificiaries of ICDS scheme ?
1. Adolescent females
2. School going children
3. Pregnant females
4. Lactating females

Correct answer: 2. School going children

Explanation: Ans. is 'b' i.e., School going children Integrated child development services (ICDS) o Currently, the most important scheme in the field of child welfare is the ICDS scheme. o It was initiated by the Govt. of India in the ministry of social and women's welfare in 1975. Objectives The objectives of the ICDS scheme are :? a) To improve the nutritional and health status of children in the age group 0-6 years; b) To lay the foundations for proper psychological, physical and social development of the child; c) To reduce mortality and, morbidity, malnutrition and school drop-out; d) To achieve an effective coordination of policy and implementation among the various departments working for the promotion of child development; and e) To enhance the capability of the mother and nutritional needs of the child through proper nutrition and health education. To achieve the above objective the ICDS aims at providing the following package of services.